Which of the following drug is not an opioid agonist?
1. Heroin
2. Ketamine
3. Methadone
4. Codiene

Correct answer: 2. Ketamine

Explanation: Heroin is a semi synthetic opiod agonists . Codiene is a natural opium alkaloid . Methadone is a synthetic alkaloid Ref": KD Tripathi 8 th ed.